The most common site of puerperal infection is:
1. Placental site
2. Cervical laceration
3. Episiotomy wound
4. Vaginal laceration

Correct answer: 1. Placental site

Explanation: Ans. (a) Placental siteRef. Dutta's Obstetrics, 7th ed. 1433PUERPERAL SEPSIS* An infection of the genital tract which occurs as a complication of delivery is termed puerperal sepsis.* Sources of infection may be endogenous where organisms are present in the genital tract before delivery.Mode of infection* Puerperal sepsis is generally a wound infection.* Placental site being a raw surface in the endometrium is the most common site for infection.* Other causes of puerperal sepsis may be laceration of the genital tract or may be CS section wound infection by organisms like anaerobic strep, E. Coli, staph etc.* Anaerobic streptococcus is the most common cause of Puerperal sepsis.* The primary sites of infections are: Uterus, Perineum, Vagina, Cervix.